In cases of recurrent abortions, most common uterine malformation seen is?
1. Mullerian fusion defects
2. Uterine syncytium
3. Unicornuate uterus
4. Uterine agenesis

Correct answer: 1. Mullerian fusion defects

Explanation: Mullerian fusion defects REF: William's 22' ed chapter 9 Abnormal Mullerian duct formation or fusion defects may develop spontaneously or may follow in utero exposure to diethylstilbestrol is the commonest cause of uterine factors leading to recurrent spontaneous abortions.